VAT in mechanical ventilation stands for -
1. Ventilator associated trauma
2. Ventilator associated treatment
3. Ventilator associated tracheobronchitis
4. None of the above

Correct answer: 3. Ventilator associated tracheobronchitis

Explanation: Ans. is 'c' i.e., Ventilator associated tracheobronchitis o VAT (Ventilator associated tracheabronchitis) & VAP (Ventilator associated pneumonia) are nosocomial lower respiratory tract infections common in patients who are on ventilator for long periods of time.Adverse effects of PEEP/CPAP1. Pulmonaryo Controlled PEEP or CPAP improve lung compliance and correct ventilation/perfusion abnormalities. However, excessive PEEP or CPAP can overdistend alveoli & bronchi which results in: -i) Increased dead space ventilationii) Reduced lung complianceiii) Increased pulmonary vascular resistance & Right ventricular afterload.iv) Barotrauma (Pneumothorax, pneumopericardium, pneumoperitonium, Subcutaneous emphysema).2. Extrapulmonaryo These adverse effects are primary circulatory and are related to transmission of elevated airway pressure to the chesti) Decreased cardiac output (due to increased intrathoracic pressure venous return is decreased).ii) Decreased hepatic & renal blood flow (due to decreased cardiac output & elevated CVP).iii) Increased ADH & angiotensin.iv) Decreased urinary output, GFR and free water clearance (Decrease Renal function).v) Increased ICT (due to increased CVP).